Which one of the following is the cause of dilacerations?
1. Trauma to the tooth germ during root development
2. Abnormal displacement of tooth germ during root development
3. Abnormal proliferation of enamel epithelium during tooth development
4. Abnormal displacement of ameloblasts during tooth formation

Correct answer: 1. Trauma to the tooth germ during root development